Primary teeth differ from permanent teeth in following aspects
1. Thickness of enamel and dentin
2. Pulp chambers are longer
3. Roots are flaring
4. All of the above

Correct answer: 4. All of the above